Presence of nephroblastomatosis in a biopsy specimen from Wilm's tumor of left kidney indicates high possibility of
1. Denys-Drash syndrome
2. Mutation in insulin like growth factor
3. Increased risk of tumor in right kidney
4. Lymph node metastasis

Correct answer: 3. Increased risk of tumor in right kidney

Explanation: Presence of nephrogenic rests (nephroblastomatosis) in resected specimen indicates an increased risk of developing Wilm's tumor in contralateral kidney. Nephrohlastomatosis also k/a "nephrogenic rests" or nodular renal blastema, refer to the abnormal persistence of embryonal renal tissue. These are supposed to be precursor lesions of Wilm's tumor. These are seen in renal paraenchyma adjacent to tumors in approx. 25% to 40% of unilateral and 100% of bilateral tumors. Presence of nephrogenic rests in resected specimen indicates an increased risk of developing Wilm's tumor in contralateral kidney. So these patients will require frequent and regular radiological surveillance with CT scan for many years. Ref : Nelson Pediatrics 18/e p2140-2143